Which of the following is associated with gas formation in sub cutaneous tissues?
1. Clostridium
2. Borrelia
3. Staphylococcus
4. Streptococcus

Correct answer: 1. Clostridium

Explanation: Ans: a) ClostridiumClostridium perfringens is associated with gas gangrene or myonecrosis. These patients have bullous lesions and crepitations of the skin.Staphylococcus can produce subcutaneous emphysema only after the rupture of a pneumatocele (In Staph, pneumonia)